"Egg-shell calcifications" are seen in
1. Silicosis
2. Berylliosis
3. Asbestosis
4. Bronchial asthma

Correct answer: 1. Silicosis

Explanation: (Silicosis) (499-HM5th) (1523-H) (498-Basic pathology 8th)SILICOSIS - major occupational exposures include, mining, stone cutting, employment in abrasive industries such as stone, clay, glass and cement manufacturing foundry work, packing of silica flour.* Calcification of hilar nodes may occur in as many as 20% of cases and produces the characteristic "egg sheir pattern* Patients with silicosis are greater risk of acquiring Mycobacterium tuberculosis* Caplan's syndrome - Pneumoconiosis, sero-positive, rheumatoid arthritis with characteritic progressive massive fibrosis (PMF)* Berylliosis - characterised by non-caseating epitheloid like those of sarcoidosis* *Bronchogenic carcinoma is the most common malignancy in asbestos workers